Brain areas involved with obsessive compulsive disorder include all except:
1. corpus callosum
2. Orbitofrontal cortex
3. Basal ganglia
4. Head of caudate nucleus

Correct answer: 1. corpus callosum

Explanation: Neuroanatomical Structures Involved in OCD Orbitofrontal Cortex Caudate (which is a part of Basal Ganglia) Thalamus Extra edge: Other important Brain areas and associated psychiatric disorders : Psychiatric Disorders Brain Areas involved 1. Anxiety disorders Locus ceruleus Raphe nucleus Caudate nucleus Temporal cortex Frontal cortex 2. Depression Damage to the left frontal lobe 3. Alzheimer's disease Hippocampus